IUFD cause all except :
1. PIH
2. DIC
3. Psychological upset
4. Infection

Correct answer: 1. PIH

Explanation: PIH